Porencephaly is due to -
1. Dandly walker syndrome
2. Cerebral infarction
3. Fetal alcohol syndrome
4. All

Correct answer: 2. Cerebral infarction

Explanation: Ans. is 'b' i.e., Cerebral infarction